A patient presents with bone pain. X ray reveals destructive lesions. Lab investigations show shypercalcemia. Serum electrophoresis shows M spike, while Bone marrow shows 35% plasma cells. What is your diagnosis?
1. MGUS
2. Smoldering myeloma
3. Multiple myeloma
4. Plasma cell leukemia

Correct answer: 3. Multiple myeloma

Explanation: Ans. (c) Multiple myeloma(Ref: Robbins 9th/pg 598-602)In the given scenario, patient has bone pain, destructive bony lesions on X Ray, hypercalcemia, M spike and 35% plasma cells in Bone marrow a Diagnostic of Multiple Myeloma